A 7-year-old boy has severe microcytic anemia due to beta-thalassemia major (homozygous). He requires frequent blood transfusions (once every 6 weeks) to prevent the skeletal and developmental complications of thalassemia. Which of the following medications is also indicated in the treatment of patients requiring frequent blood transfusions?
1. oral calcium supplements
2. fresh frozen plasma (FFP)
3. desferrioxamine
4. penicillamine

Correct answer: 3. desferrioxamine

Explanation: Iron chelation with desferrioxamine will reduce the toxicity from iron overload if given regularly in high doses. The most lethal toxicity of iron overload is iron infiltration of the myocardium, with resultant dysfunction and death. Penicillamine has no role in the treatment of thalassemia patients requiring frequent transfusions. As well FFP, and cryoprecipitate are not indicated in the management of patients with thalassemia as there are no defects in thrombosis or coagulation.